Which of the following is NOT seen in Parkinsonism:
1. Preserved postural reflexes
2. Hypokinesia
3. Rigidity
4. Static tremors

Correct answer: 1. Preserved postural reflexes

Explanation: Ans. A i.e. Preserved postural reflexes